Best index for measuring contraceptive efficacy is -
1. Pearl index
2. Life-table analysis
3. Chandler's index
4. Quetlet index

Correct answer: 2. Life-table analysis

Explanation: Ans. is 'b' i.e., Life-table analysis o For contraceptive efficacy two method are used (i) Pearl index ii) Life table analysis (Better measure than Pearl index)